A 40-year-old male presents with poor adherence to Haloperodol 10mg BD. He complains of unpleasant motor symptoms. His wife reports that he is restless all the time. When asked about it, the patient reports having an 'urge to move' constantly. Which of the following explains the symptoms?
1. Tourette's Syndrome
2. Hyperkinetic Disorder
3. Akathesia
4. Psychotic Agitation

Correct answer: 3. Akathesia

Explanation: In this case, the person is suffereing from side effects of Haloperidol. Movement disorders are common side effects of old generation anti-psychotics. Akathesia is charecterised by subjective and objective sense of restlessness, anxiety and agitation. It is often difficult to differentiate from psychotic agitation. However, in this situation, poor adherence to taking medication is due to the side effect, hence Akathsia. Ref: Kaplan and Sadock's Synopsis of Psychiatry: Behavioral Sciences : By Benjamin J Sadock, M.D, Page 489